"Ropy discharge" frome the eye is seen in-
1. Phylectenular conjunctivitis
2. Swimming pool conjunctivitis
3. Spring catarrh
4. Epidemic keratoconjunctivitis

Correct answer: 3. Spring catarrh

Explanation: Conjunctival changes like VERNAL KERATOCONJUNCTIVITIS (VKC) OR SPRING CATARRH are associated with white ropy discharge. When a patient complains of a discharge from the eyes, it should be ascertained whether it is mucoid, mucopurulent, purulent, serosanguinous or ropy. Discharge from the eyes is a feature of conjunctivitis, corneal ulcer, stye, burstorbital abscess, and dacryocystitis. ref: A K KHURANA OPHTALMOLOGY,E4, Page-75,465 ref img